All of the following drugs are atypical antipsychotics EXCEPT?
1. Olanzapine
2. Clozapine
3. Risperidone
4. Thioridazine

Correct answer: 4. Thioridazine

Explanation: Clozapine, asenapine, olanzapine, quetiapine, paliperidone, risperidone, sertindole, ziprasidone, zotepine, and aripiprazole are atypical antipsychotic drugs. Ref KD Tripati 8th ed.